Fenestrated capillaries are found in all except:
1. Renal glomeruli
2. Intestinal villi
3. Pancreas
4. Muscle

Correct answer: 4. Muscle

Explanation: Ans. D: MuscleContinuos capillariesLocation: muscle, lung, central nervous system and skin.Composition: endothelial cells contain numerous pinocytotic vesicles, pericytes are enclosed by a basement membrane.Fenestrated CapillariesLocation: endocrine glands, sites of fluid and metabolite absorption: renal corpuscles, intestinal tract, and gallbladder. Composition: endothelial cells contain fenestrations, 80-100 nm in diameter, those provide channels across the capillary wall, pericytes are enclosed by a basement membrane.Discontinuous capillaries (sinusoid)Location: liver, spleen, and bone marrow.Composition: endothelial cells with unusually wide gaps between them, partial or total absence of basement membrane.